True statement regarding covalent bonds is
1. Electrons have same spin
2. Electrons have opposite spin
3. They are weak bonds
4. None of the above

Correct answer: 2. Electrons have opposite spin

Explanation: Covalent bonds are the strongest bonds and are formed by sharing of a pair of electrons between adjacent atoms.
The two electrons of pair have opposite spin.